Normal anion gap metabolic acidosis can occur in
1. Renal failure
2. Liver failure
3. Severe anemia
4. Malignancy

Correct answer: 1. Renal failure

Explanation: In renal failure, there is retention of unmeasured anions, including phosphate, urate, and sulfate. The increase in unmeasured anions in renal failure is usually less than the decrease in the bicarbonate concentration. Renal failure is thus a mix of an increased gap and a normal gap metabolic acidosis. The normal gap metabolic acidosis is especially prominent in children with renal failure as a result of tubular damage, as occurs with renal dysplasia or obstructive uropathy, because these patients have a concurrent A.Other distractors are causes of high anion gap metabolic acidosis. Ref:- Nelson's textbook of paediatrics; pg num:- 574